All of the following are impulse control disorders except -
1. Pyromania
2. Trichotillomania
3. Kleptomania
4. Capgras syndrome

Correct answer: 4. Capgras syndrome

Explanation: Impulse control disorder are Pyromania, Kleptomania, Trichotillomania, Pathological gambling, intermittent explosive disorder.